The absolute contraindication for Electro-Convulsive Therapy (ECT) is -
1. Raised Intra-Cranial Tension
2. Vascular Dementia
3. Diabetic Retinopathy
4. Peripheral Neuropathy

Correct answer: 1. Raised Intra-Cranial Tension

Explanation: The only absolute contraindication for ECT is raised ICT.